Paneth cells contain
1. Zinc
2. Copper
3. Molybdneum
4. Selenium

Correct answer: 1. Zinc

Explanation: Paneth cells are zinc-containing cells widely distributed in Lieberkuhn's crypts of small intestine in many species, but their function has remained obscure. Our previous study showed that a single intravenous injection of diphenylthiocarbazone (dithizone), a zinc chelator, forms zinc-dithizonate complexes in the cytoplasm of Paneth cells to ensure rapid and selective killing of the cells. REFERANCE. NIH.GOV